All are causea of granular contracted kidney except
1. Benign nephrosclerosis
2. Diabetes mellitus
3. Chronic pyelonephritis
4. Chronic glomerulonephritis

Correct answer: 2. Diabetes mellitus

Explanation: Causes of contracted kidney *chronuc glomerulonephritis *chronic pyelonephritis *benign nephrosclerosis causes of enlarged kidney Ammyloidosis Diabetic renal disease Polycystic kidney disease Hydronephrosis